Tamm-Horsfall protein is secreted by epithelial cells of
1. Proximal convoluted tubule
2. Loop of Henle
3. Distal convoluted tubule
4. Glomerulus

Correct answer: 2. Loop of Henle

Explanation: Tamm-Horsfall protein or uromodulin, the most common protein in urine and produced in the thick ascending limb of the loop of Henle AKI can be induced by mechanical obstruction of the distal nephron lumen when myoglobin or haemoglobin precipitates with Tamm-Horsfall protein Myeloma light chains can also cause AKI by direct tubular toxicity and by binding to Tamm-Horsfall protein to form obstructing intratubular casts. Ref: Harrison 19e 1804